Pupil condition in opium poisoning:
1. Miosis
2. Mydriasis
3. Irregular
4. No change

Correct answer: 1. Miosis

Explanation: Ans. Miosis